A 3 year old girl with normal developmental milestones except that she started speaking by the age of four. She does not play with other children and wants to eat, play and sleep in her own way. She often has temper tantrums related to any new changes. What is the likely diagnosis?
1. ADHD
2. Autism
3. Specific learning disorder
4. Intellectual disability

Correct answer: 2. Autism

Explanation: Autism is charecterised by a developmental delay in speech, communication difficulties, lack of social skills, difficulty in coping with change, rigid preferences and routines which is pervasive and persistent from childhood.